Which one of the following oral hypoglycemic agents is not an insulin secretogogue?
1. Gliclazide
2. Glimiperide
3. Repaglinide
4. Rosiglitazone

Correct answer: 4. Rosiglitazone